Duration of TIA:
1. 12 hours
2. 24 hours
3. 48 hours
4. 36 hours

Correct answer: 2. 24 hours

Explanation: Ans. (b) 24 hoursRef.: Harrison 19th ed. / 2568, 17th ed. Ch. 364* The standard definition of TLA requires that all neurologic signs and symptoms resolve within 24 hours regardless of whether there is imaging evidence of new permanent brain injury; stroke has occurred if the neurologic signs and symptoms last for >24 hours.